True about Dressler's syndrome is all, except
1. Presents as sub sternal chest pain
2. Usually occurs within hours after MI
3. May be due to early use of anti coagulant
4. Responds to aspirin therapy

Correct answer: 2. Usually occurs within hours after MI

Explanation: Dressler's syndrome (Fibrinous Pericarditis):
It is an autoimmune reaction and manifest after 2 - 3 weeks after MI.